Which year MTP act was passed -
1. 1971
2. 1981
3. 1957
4. 1961

Correct answer: 1. 1971

Explanation: park's textbook of preventive and social medicine 23rd edition. *implementing rules and regulations for legalisation of abortion was initially written in 1971 were revised again in 1992 came to be known as the MTP act 1971.